A 9-year-old boy is brought with history of decreased urine output, cola colored urine and swelling of the face and hands of 2 days duration. He is hypertensive, has a puffy face and pitting edema of the lower limbs. He has history of skin lesions 4 weeks earlier. A diagnosis of post streptococcal glomerulonephritis is made. If an antibiotic is to be used to limit the spread of the nephritogenic organisms, the drug of choice is?
1. Cefixime
2. Penicillin
3. Meropenem
4. Amoxycillin

Correct answer: 2. Penicillin

Explanation: b. Penicillin(Ref: Nelson 20/e p 2500-2501, Ghai 8/e p 474-477)Treatment of PSGNManagement is directed at treating the acute effects of renal insufficiency and hypertensionAlthough a 10 day course of systemic antibiotic therapy with penicillin is recommended to limit the spread of the nephritogenic organisms, antibiotic therapy does not affect the natural history of PSGNTreatment of hypertension: Calcium channel antagonists, vasodilators, or angiotensin-converting enzyme inhibitors.